Urticarial lesions are best described as -
1. Nonpruritic
2. Bullous
3. Evanescent
4. Macular

Correct answer: 3. Evanescent

Explanation: urticaria consists of raised erythemayous skin lesions that are markedly pruritic , evanescent and generally worsened by scratching IADVL textbook of dermatology, cutaneous vascular response, page657